Cryoprecipitate is rich in
1. Factor II
2. Factor V
3. Factor VII
4. Factor VIII

Correct answer: 4. Factor VIII